Selective medium for Naegleria fowleri is ?
1. Nutrient agar rich with E coli
2. NNN media
3. Non-nutrient agar with E.coli
4. Diamond media

Correct answer: 3. Non-nutrient agar with E.coli

Explanation: Ans. is 'c' i.e., Non-nutrient agar with E.coli Naegleria fowleri is cultured on non-nutrient agar plates seeded with dead E.coli as a food source.